Inhaled corticosteroid used in bronchial asthma are all EXCEPT
1. Beclomethasone
2. Budesonide
3. Fluticasone
4. Dexa methasone

Correct answer: 4. Dexa methasone

Explanation: (Dexamethasone): Ref 359 - G (361-Ghai 7th)Commonly used inhaled steroids include1. Beclomethasone2. Budesonide3. Fluticasone (superior)I. Inhaled mast cell stabilizer: -* Sodium cromoglycate* Nedocromil sodiumII. Inhaled Bronchodilator: - Salbutamol, Terbutaline, Salmeterol, Formotoerol* Bronchodilator (Theophylline) Mast cell stabilizers (Ketotifen) Leukotriene modifiers (Montelukast & Zofirlukast) are given in tablets form